Most of the cases of Listeria are due to serovar ?
1. 2
2. 4a
3. 4b
4. 6

Correct answer: 3. 4b

Explanation: Ans. is `c' i.e., 4b